Which of the following is true regarding non specific interstitial pneumonia
1. A. Honey combing on CT
2. B. Predominant in males
3. C. Affects elderly age grpup
4. D. Good prognosis

Correct answer: 4. D. Good prognosis

Explanation: It is idiopathic or associated with consecutive tissue damage clinical features patient present with cough and pneumonia of several duration Mostly female non smoker present in 6th decade of life High resolution CT scan- B/l,symmetric,predominatly lower lobe opacities, (honey comb pattern) Have better prognosis than the usual interstitial pneumonia.